37-year-old female patient has a fracture of clavicle. The junction of inner and middle third of the bone exhibits overriding of medial and lateral fragments. The arm is rotated medially, but it is not rotated laterally. Which of the following conditions is most likely to occur secondary to the fractured clavicle?
1. A fatal haemorrhage from the brachiocephalic vein
2. Thrombosis of subclavian vein, causing a pulmonary embolism
3. Thrombosis of the subclavian artery, causing an embolism in ascending aorta
4. Damage to the upper trunk of the brachial plexus

Correct answer: 2. Thrombosis of subclavian vein, causing a pulmonary embolism

Explanation: The fractured clavicle may damage the subclavian vein, resulting in a pulmonary embolism; cause thrombosis of the subclavian artery, resulting in embolism of the brachial artery; or damage the lower trunk of brachial plexus.